Which of the following is not a parameter in Bishop's score:
1. Cervical consistency
2. Station of head
3. Position of head
4. Cervical length

Correct answer: 3. Position of head

Explanation: Ans. C: Position of Head